Cystic hygroma is-
1. Lymphangioma
2. Hemangioma
3. Follows filariasis
4. Malignant

Correct answer: 1. Lymphangioma

Explanation: Ans. is 'a' i.e., Lymphangioma o Lymphangioma are localised cluster of dilated lymphatic channels similar to hemangiomas of blood vessels,o They are of 2 typesSimple or capillary lymphangiomaCavernous lymphangioma or cystic hygromao They are thought to represent isolated and sequestered segments of the lymphatic system that retain the ability to produce lymph. As the volume of lymph inside the cystic tumor increases, they grow larger within the surrounding tissues.o The majority of these benign tumors are present at birth. and 90% of them can be identified by the end of the first year of life.o The cavernous lymphangiomas for cystic hygromas almost invariably occur in the neck or the axilla and very rarely in the retroperitoneum.o The simple capillary lymphangiomas also tend to occur subcutaneously in the head and neck region as well as the axilla. Rarely; however, they can be found in the trunk within the internal organs or the connective tissue in and about the abdominal or thoracic cavities.o The treatment of lymphangiomas should be surgical excisiont taking care to preserve all normal surrounding infiltrated structures.